Weight gain during pregnancy:
1. 4-6 Kg
2. 7-9 Kg
3. 10-12 Kg
4. 13-15 Kg

Correct answer: 3. 10-12 Kg

Explanation: Ans. C i.e. 10-12 Kg